Prenatal exposure to cigarette smoke is associated with all except
1. Neonatal Diabetes
2. Learning problems
3. Shorter length
4. Changes in neonatal neurodevelopmental status

Correct answer: 1. Neonatal Diabetes

Explanation: Prenatal exposure to cigarette smoke is associated with lower birthweight, shorter length, and smaller head Circumference, as well as changes in neonatal neurodevelopmental assessments. Later, these children are at increased risk for learning problems, externalizing behavror disorders, and long-term health effects. Ref:- Nelson's textbook of paediatrics; pg num:- 345